Major source of Von Willebrand factor (vWF) -
1. Erythrocytes
2. Neutrophils
3. Endothelial cells
4. Monocytes

Correct answer: 3. Endothelial cells

Explanation: Ans. is `c' i.e., Endothelial cellso Circulating factor VIII has two components.a) Factor VIIIc (Procoagulant protein)o This is the smaller componento-It is synthesized in liver (main source) and kidney.o It is an intrinsic pathway component required for activation of factor X.b) Von willebrand factor (vWF)o This is the larger component.o It is produced by endothelial cells (main source) and megakaryocytes.o It has two major functions ?i) Helps in platelets adhesion by interacting platelet membrane glycoprotein lb-IX.ii) Stabilizes factor VIllc.